Drug of choice for treatment of acute organophosphate poisoning is:
1. Atropine
2. Pralidoxime
3. Neostigmine
4. d–Tubocurarine

Correct answer: 1. Atropine